Most common cause of orthostatic hypotension -
1. Peripheral neuropathy
2. Carcinoid Syndrome
3. Pheochromocytoma
4. Hypothyroidism

Correct answer: 1. Peripheral neuropathy

Explanation: Orthostatic hypotension: defined as a reduction in systolic blood pressure of at least 20 mmHg or diastolic blood pressure of at least 10 mmHg within 3 minutes of standing or head-up tilt on a tilt table, is a manifestation of sympathetic vasoconstrictor (autonomic) failure. Causes of neurogenic orthostatic hypotension include central and peripheral autonomic nervous system dysfunction Autonomic dysfunction of other organ systems (including the bladder, bowels, sexual organs, and sudomotor system) of varying severity frequently accompanies orthostatic hypotension in these disorders. ref : Harrison's principle of internal medicine,20th edition,pg no. 175